BRCA 1 gene is located on chromosome
1. 17p21
2. 17q21
3. 13p21
4. 13q21

Correct answer: 2. 17q21

Explanation: A BRCA mutation is a mutation in either of the BRCA1 and BRCA2 genes, which are tumour suppressor genes. ... Women with harmful mutations in either BRCA1 or BRCA2 have a risk of breast cancer that is about five times the normal risk, and a risk of ovarian cancer that is about ten to thirty times normal.